False about Henoch Schonlein Purpura:-
1. Type 3 Hypersensitivity
2. Palpable purpura due to thrombocytopenia
3. Mild glomerulonephritis
4. Polyarthralgia

Correct answer: 2. Palpable purpura due to thrombocytopenia

Explanation: Palpable purpura is due to Vasculitis.